Translocation t(2:8)(p12:q24) is associated with:
1. Chronic Myeloid Leukemia (CML)
2. Acute Myeloid Leukemia (AML)
3. T cell -ALL
4. Burkitt's Lymphoma

Correct answer: 4. Burkitt's Lymphoma

Explanation: In Burkitt's Lymphoma, t(8:14)(q24:q32) is by far the commonest abnormality followed by t(2:8)(pl2:q24). Ref: Leukaemia Diagnosis By Barbara J. Bain, 2003, Page 124.